Esophagus starts at the level of
1. Upper border of cricoid cartilage
2. Lower border of cricoid cartilage
3. Thyroid cartilage
4. Hyoid cartilage

Correct answer: 2. Lower border of cricoid cartilage

Explanation: Esophagus begins in neck at lower border of cricoid cartilage. BD CHAURASIA'S HUMAN ANATOMY.VOLUME 1. 6TH EDITION.PAGE NO 282